Babu is brought to the emergency as a case of road-traffic accident. He is hypotensive. Most likely ruptured organ is:
1. Spleen
2. Mesentry
3. Kidney
4. Rectum

Correct answer: 1. Spleen

Explanation: Most common abdominal organ to rupture following blunt trauma is spleen. Splenic ruptures should be suspected after any trauma particularly if there has been direct injury to the left upper quadrant from any angle. Ref: Sabiston Textbook Of Surgery, 17th Edition, Pages 514, 523; Bailey and Love's Short Practice of Surgery, 23rd Edition, Page 955; Clinical Surgery By S. Das, Page 896.